Which one of the following statements is TRUE regarding neonatal sepsis?
1. Refusal to suck, poor cry and lethargy are common features
2. Neutrophilia is the hallmark of neonatal sepsis
3. Sepsis occurs on the 4th day and is mostly due to microbes from maternal genitalia
4. Antibiotics are withheld till the causative bacterium & drug sensitivity are known through culture-sensitivity testing

Correct answer: 1. Refusal to suck, poor cry and lethargy are common features

Explanation: a. Refusal to suck, poor cry and lethargy are common features(Ref: Nelson's 20/e p 918-922)Discussing the options one by one,a.True; These are the earliest and very common features of neonatal sepsisb.False, Neutropenia & not neutrophilia is a feature of neonatal sepsisc.False, Sepsis can occur anytime in the neonatal periodd.False, Empirical antibiotics should be started if neonatal sepsis is suspected, even before culture- sensitivity reports are available